All of the following can velli used to treat alcohol dependence except:
1. Naltrexone
2. Acamprosate
3. Flumazenil
4. Disulfiram

Correct answer: 3. Flumazenil

Explanation: Ref: Katzung 11/e p395 Flumazenil is a benzodiazepine antagonist used for treat of benzodiazepine overdose and not for alcohol dependence.